Itai Itai disease is caused by toxicity of:
1. Cadmium
2. Antimony
3. Lead
4. Mercury

Correct answer: 1. Cadmium

Explanation: High intake of cadmium can lead to disturbances in calcium metabolism and the formation of kidney stones. Softening of the bones and osteoporosis may occur in those exposed through living or working in cadmium-contaminated areas. In an area of Japan where soil has been contaminated with cadmium from zinc/lead mines, Itai-itai disease used to be widespread and is still seen in women over 50 years of age. It is characterized by osteomalacia, osteoporosis, painful bone fractures and kidney dysfunction. Ref :